"Cone of light" is due to:
1. Malleolar fold
2. Handle of malleus
3. Anterior inferior quadrant
4. Stapes

Correct answer: 2. Handle of malleus

Explanation: Cone of LightSeen in anteroinferior quadrant of the tympanic membrane is actually the reflection of the light projected into the ear canal to examine it.This part reflects it because it is the only part of tympanic membrane that is approximately at right angles to the meatus.This difference in different parts of the tympanic membrane is due to the handle of malleus which pulls the tympanic membrane and causes it to tent inside.Thus, the handle of malleus causes tenting and because of tenting the anteroinferior quardrant is at right angles to the meatus and thus reflects the light (leading to cone light).